Content of Na+ in ringer lactate is ……………… meq/l-
1. 154
2. 12
3. 130
4. 144

Correct answer: 3. 130